A child is brought by mother with HO massive hemetemesis with HO drug intake previously with NSAIDS and on Rx.Associated with moderate splenomegaly diagnosis is
1. Oesophageal varices
2. Duodenal ulcer
3. Drug induced gastritis
4. Peptic ulcer

Correct answer: 1. Oesophageal varices

Explanation: Massive hematemesis,moderate splenomegaly are features of oesophageal varices Ref : ESSENTIAL PEDIATRICS,O.P.GHAI.,PG NO:290, 7th edition